Alcohol causes hypoglycemia due to -
1. Decreased gluconeogenesis
2. Decreased NADH
3. Decreased lipogenesis
4. Decreased glycogenesis

Correct answer: 1. Decreased gluconeogenesis

Explanation: Ans. is 'a' i.e., Decreased gluconeogenesis o Excess intake of alcohol leads to excessive production of NADH with a concomitant decrease in NAD+,o This causes following metabolic alterations :-i) The increase availability of NADH favours the reduction of pyruvate to lactate and oxaloacetate to malate and decreasing its availability for gluconeogenesis and decrease synthesis of glucose. This results in Hypoglycemia.Increased ratio of NADH/Nad+ inhibits b-oxidation of fatty acids and citric acid cycle and promotes lipogenesis, triacylglycerol synthesis and cholesterol synthesis from acetyl CoA.Increased lactic acid production causes lactic acidosis and hyperuricemia.Accumulation of lipid in various tissues causes fatty liver, fatty myocardium etc.